The use of cervical vertebrae as skeletal maturity indicators was given by:
1. Benninghoff
2. Hassel and Farman
3. Wolff
4. Brodie

Correct answer: 2. Hassel and Farman

Explanation: The shapes of the cervical vertebrae differ at each level of skeletal development, and this helps to determine the skeletal maturity of a person. This is the basis of Hassel and Farman system of evaluating skeletal maturity using cervical vertebrae.